Insulin - zinc suspension or Lente insulin is ?
1. Rapid acting
2. Short acting
3. Intermidiate acting
4. Long acting

Correct answer: 3. Intermidiate acting

Explanation: Ans. is 'c' i.e., Intermidiate acting